Most potent stimulus for secretin is -
1. Dilatation of intestine
2. Acid chime
3. Protein
4. Fat

Correct answer: 2. Acid chime

Explanation: B i.e. Acid chyme